A 73-year-old woman with a history of diabetes presents with left ear pain and drainage of pus from the ear canal. She has a swelling and tenderness over the left mastoid bone. Which of the following microorganisms is the MOST likely causative agent?
1. Hemophilus influenzae
2. Klebsiella pneumoniae
3. Mucor sp.
4. Pseudomonas aeruginosa

Correct answer: 4. Pseudomonas aeruginosa

Explanation: Pseudomonas aeruginosa causes malignant otitis externa, which is a severe necrotizing infection of the external ear canal. Infection tends to spread to the mastoid bone, temporal bone, sigmoid sinus, base of the skull, meninges, and brain. Patients at increased risk include the elderly, those with diabetes, and the immunocompromised. Pseudomonas is also associated with many other clinical syndromes, including infection following traumatic wounds to the feet in persons wearing sneakers or rubber-soled shoes, since the organism can be cultured from the shoes. Must know: Haemophilus influenzae produces a variety of clinical syndromes. H.Influenzae is the third-most common cause of meningitis in children aged 1 month to 18 years. It is the most common cause of acute epiglottitis, the most common cause of purulent bacterial conjunctivitis, and the second-most common cause of otitis media. Patients at risk include those with COPD and cystic fibrosis, alcoholics, splenectomized patients, and young patients. Klebsiella pneumoniae is a gram-negative organism that produces a necrotizing pneumonia in diabetics and alcoholics. Patients typically present with an abrupt onset of fever, shaking chills, and purulent, foul-smelling sputum. Mucor is a fungal infection that is particularly severe in the diabetic or the immunocompromised patient. In the acidotic diabetic, the fungus produces a life-threatening, invasive rhinocerebral infection. The infection begins in the nasal passages, extends into the paranasal sinuses, and spreads through the cribriform plate to the frontal lobes of the brain. Patients typically complain of headache, facial pain, and orbital swelling.